Which among the following is commonly used as a preservative for gut sutures:
1. Isopropyl alcohol.
2. Saline.
3. Formocresol.
4. Ethyl alcohol.

Correct answer: 1. Isopropyl alcohol.